Concealment of birth comes under which IPC?
1. 317
2. 318
3. 319
4. 320

Correct answer: 2. 318

Explanation: Ans. (b) 318Ref. Parikh 6, p 5.87